Viscera forms wall of which hernia?
1. Lumbar hernia
2. Sliding hernia
3. Epigastric hernia
4. Femoral hernia

Correct answer: 2. Sliding hernia

Explanation: Ans. (b) Sliding hernia* Posterior wall of the sliding hernia is not only formed by sac but also by retroperitoneal structures.* MC structure being Sigmoid colon* Barium Enema is the preferred investigation to confirm the presence of Sigmoid Colon in Scrotum. (IOC for confirming Sliding hernia)